If a claw hand develops in a patient with Leprosy, the deformity is -
1. Grade 0
2. Grade I
3. Grade II
4. Grade III

Correct answer: 3. Grade II